Which of the following is not an indication of secondary nerve repair:
1. Syndrome of irritation
2. Division of nerve by sharp object
3. Delayed presentation of nerve injury
4. Syndrome of incomplete interruption

Correct answer: 2. Division of nerve by sharp object

Explanation: Late repair/ Secondary repair( Repair weeks or months after the injury) , may be indicated because: (1)Closed injury was left alone but no sign of recovery is seen at the expected time; (Syndrome of incomplete interruption) (2)Diagnosis was missed and the patient presents late ( Delayed presentation) (3)Failed primary repair If there are signs of nerve irritation, secondary exploration is recommended( Syndrome of irritation) =Division of nerve by sharp object is managed by primary repair.